TRIVEX is a percutaneous technique of:
1. Intravenous intraluminal destruction of vein by ablation catheter
2. Intravenous intraluminal injection of sclerosant like sodium tetradecyl sulphate
3. Removal of vein by suction following injection of fluid
4. Stripping of veins

Correct answer: 3. Removal of vein by suction following injection of fluid

Explanation: Transilluminated Powered Phlebectomy (TIPP) using TRIVEX TIPP invloves an irrigated tranilluminator, passed deep to the varicosities, and a powered suction resector, each introduced through a skin incision. On activation, the vein is sucked into the resector under direct vision, morcellated and removed by suction . TRIVEX system uses two components. First instrument illuminates the varicose veins through the skin using advanced fibre optic technology and the vein resector is then guided next to the vein underneath the skin. Suction draws the vein into tip of the vein resector while a rotating blade effectively removes the leg vein. With this new varicose vein treatment, large clusters of varicose veins can be accurately removed through a minimal number of small incision and is far more effective than other forms of varicose vein surgery. Ref: Sabiston 20th edition Pgno: 1840